Neologism are characteristically seen in
1. Depression
2. Mania
3. Schizophrenia
4. Dysphasia

Correct answer: 3. Schizophrenia

Explanation: Ans. is 'c' Schizophrenia Neologism Newly formed words or phrases whose derivations cannot be understood.This is characteristically seen in Schizophrenia.